A 66-year-old woman dies of severe congestive heart failure. Her past medical history is remarkable for rheumatoid arthritis that first manifested at the age of 35. The autopsy revealed splenomegaly, hepatomegaly, and glomerulopathy. The spleen, liver, and kidneys showed a similar waxy texture. Which of the following mechanisms explains these clinical and pathologic findings?
1. Accumulation of amyloid
2. Atherosclerosis of coronary arteries
3. Coxsackievirus myocarditis
4. Mutation of myosin chain genes

Correct answer: 1. Accumulation of amyloid

Explanation: Chronic inflammatory conditions, such as collagen vascular diseases, rheumatoid arthritis, and bronchiectasis, may lead in time to accumulation of a specific form of amyloid, known as AA (amyloid-associated protein). Systemic amyloidosis affects many organs, especially the heart, kidneys, spleen, GI tract, liver, and tongue. The ventricular walls become thickened and inelastic, and the resulting pathophysiologic picture is that of restrictive cardiomyopathy. Congestive heart failure ensues because of decreased ventricular compliance and secondary reduced stroke volume. Note how the ventricular lumen are narrowed and the walls are extremely thickened. A waxy texture is highly suggestive of amyloid deposition, which can be confirmed histologically by using Congo red staining.Note:Atherosclerosis of coronary arteries may give three different types of clinical manifestations: arrhythmias (with sudden death), angina pectoris, and myocardial infarction. Loss of myocardial tissue due to ischemic necrosis may lead to congestive heart failure. The heart will show evidence of old infarcts in the form of scars, and the ventricular cavities will become dilated. Coxsackievirus myocarditis is the most common etiologic form of viral myocarditis, which may resolve without clinical consequences or lead to dilated cardiomyopathy and heart failure. Mutations of myosin chain genes are the most common causes of hypertrophic cardiomyopathy. This manifests with thickening of the interventricular septum (so-called asymmetric cardiac hypertrophy), with resultant impediment to both systolic outflow and diastolic filling. Here, the ventricular walls are uniformly thickened, and the remaining postmortem findings (liver, kidney, and spleen changes) cannot be explained based on a diagnosis of hypertrophic cardiomyopathy. Ref: Kim H.W., Farzaneh-Far A., Klem I., Rehwald W., Kim R.J. (2011). Chapter 23. Magnetic Resonance Imaging of the Heart. In V. Fuster, R.A. Walsh, R.A. Harrington (Eds), Hurst's The Heart, 13e.